Finger in glove sign is seen in
1. Chronic bronchitis
2. Bronchocele
3. Bronchogenic carcinoma
4. Pleuritis

Correct answer: 2. Bronchocele

Explanation: The finger in glove sign can be seen on either chest radiograph or CT chest and refers to the characteristic sign of a bronchocoele. The same appearance has also been referred to as:rabbit ear appearancemickey mouse appearancetoothpaste shaped opacitiesY-shaped opacitiesV-shaped opacitiesThe finger-in-glove sign is the chest CT/radiographic finding of tubular and branching tubular opacities that appear to emanate from the hila, said to resemble gloved fingers.The tubular opacities represent dilated bronchi impacted with mucus. The CT finger-in-glove sign is branching endobronchial opacities that course alongside neighboring pulmonary arteries. The finding is classically associated with allergic bronchopulmonary aspergillosis (ABPA), seen in persons with asthma and patients with cystic fibrosis, but may also occur as an imaging manifestation of the endobronchial tumor, bronchial atresia, cystic fibrosis, and postinflammatory bronchiectasis.Bronchoscopy may be necessary to exclude endobronchial tumor as the cause of the finger-in-glove sign. The tubular opacities that occur in ABPA result from hyphal masses and mucoid impaction and typically affect the upper lobes( Ref: AJR:202, March 2014, Walker et al.Imaging Pulmonary Infection: Classic Signs and Patterns)